Frontal eye motor area is A/E:
1. 9
2. 2
3. 6
4. 8

Correct answer: 2. 2

Explanation: B i.e. 2Cortical representation of body in cerebrum is vertical and upside downQ, and is known as homunculus. Medial temporal lobe lesion is a/w auditory amnesia.Broca's area (44 & 45) is localized in inferior frontal lobeQ; frontal eye motor field is 6, 8, 9; Pre (or secondary) motor area is 4.